Optimum rate of movement during distraction osteogenesis is
1. 1 mm per day
2. 5 mm per day
3. 1 cm per week
4. 5 cm per week

Correct answer: 1. 1 mm per day